A 35 yr female with ductal ca in situ of breast. What is best possible management
1. Breast conservative surgery
2. Simple mastectomy
3. Modified radical mastectomy
4. Radical mastectomy

Correct answer: 1. Breast conservative surgery

Explanation: Rx: Breast conservative surgery with to breast and axillary dissection after sentinel LNB(if +'ve) Ref : SRB's 4thE pg:566